Carhart's notch in audiometry is seen in:
1. Ossicular discontinuity
2. Hemotympanum
3. Otomycosis
4. Otosclerosis

Correct answer: 4. Otosclerosis

Explanation: Ans. d. OtosclerosisCarhart s notch seen in otosclerosis.Bone conduction curve shows maximum loss at 2000 Hz.